Retroperitoneal structure among the following is:
1. Second part of Duodenu
2. Proximal jejunum
3. Distal jejunum
4. Distal ileum

Correct answer: 1. Second part of Duodenu

Explanation: Duodenum begins at the Duodenal bulb. It travels in the retroperitoneal space around the head of the pancreasIt returns to peritoneal cavity at the ligament of TreitzThe rest of the small intestine is in the peritoneal cavity It is suspended by mesentery, 40% composed by jejunum, 60% by ileum Ref: Sleisenger, E - 9, p - 1615.